Treatment of choice for medullary carcinoma of thyroid is
1. Total thyroidectomy
2. Partial thyroidectomy
3. I131 ablation
4. Hemithyroidectomy

Correct answer: 1. Total thyroidectomy

Explanation: Most patients with MTC should undergo at least total thyroidectomy The presence of clinically detectable or ultrasound-detectable disease in the lateral neck warrants total thyroidectomy and level VI and lateral compartment nodal dissection. Because MTC is not of follicular cell origin, TSH suppression and RAI scanning and therapy have no role in MTC. Source : Sabiston 20th edition Pg : 910